Renal damage due to amphotericin B are all, except
1. Azotemia
2. Renal tubular acidosis
3. Glomerulonephritis
4. Hypokalemia

Correct answer: 3. Glomerulonephritis

Explanation: Answer is C (Glomerulonephritis): Renal adverse effects of Amphotericin B : Nephrotoxicity is the most important long term toxicity of Amphotericin B - KDT Manifestations of Nephrotoxicity of Amphotericin B are : - Azotemia - Reduced G. F.R Acidosis (A) Hypokalemia - Inability to concentrate urine Nephrotoxity reverses slowly though often incompletely after stoppage of therapy.